Which is not a 2nd generation anti-histaminic agent?
1. Cetirizine
2. Cyclizine
3. Loratidine
4. Fexofenadine

Correct answer: 2. Cyclizine

Explanation: Ans (B) Cyclizine(Ref: Goodman and Gilman 12th/e p921,922)Antihistaminics may be classified into first generation and second generation compounds on the basis of CNS penetration and anticholinergic properties. First Generation Anti-histaminics can penetrate blood brain barrier and possess additional anticholinergic properties which are lacking in second generation drugs. Cyclizine is a first generation whereas cetirizine, loratadine and fexofenadine are second generation drugs.